Treatment of malignant Hyperthermia includes – a) Dantroleneb) Coolingc) Deepening plane of inhalational anaesthesiad) Discontinue inhalational anaesthesiae) Give O2 therapy with 100% O2.
1. abcd
2. bcde
3. acde
4. abde

Correct answer: 4. abde

Explanation: Treatment of malignant hyperthermia includes dantrolene, hyperventilation with 100% O2 discontinuation of all anaesthetics immediately, cooling of body, correction of acidosis and hyperkalemia.